Contra indications of portal systemic shunting include-
1. Serum albumin less than 3 mg%
2. Massive ascites
3. Significant juandice
4. All of the above

Correct answer: 4. All of the above